Indications of glucocorticoids in raised ICT-a) Cerebral abscessb) Brain tumourc) Head injuryd) Cerebral Haemorrhage
1. ab
2. a
3. ad
4. bc

Correct answer: 1. ab